Werner syndrome is
1. MEN-I
2. MEN-II
3. Premature ageing
4. Defective sirutins

Correct answer: 3. Premature ageing

Explanation: Patients with Werner syndrome show premature ageing due to the defect in DNA helicase enzyme, a protein involved in DNA replication and repair and other functions requiring DNA unwinding.Wermer syndrome is MEN-1 (note the spelling)Robbins 9th edition 66